Feature of septicshockis-
1. Acute tubular necrosis
2. Acute cortical necrosis
3. Acute glomerulonephritis
4. Acute papillary damage

Correct answer: 1. Acute tubular necrosis

Explanation: Septic shock The hallmark of septic shock is a decrease in peripheral vascular resistance that occurs despite increased levels of vasopressor catecholamines. Before this vasodilatory phase, many patients experience a period during which oxygen delivery to tissues is compromised by myocardial depression, hypovolemia, and other factors. During this "hypodynamic" period, the blood lactate concentration is elevated and central venous oxygen saturation LOW. Fluid administration is usually followed by the hyperdynamic, vasodilatory phase during which cardiac output is normal (or even high) and oxygen consumption declines despite adequate oxygen delivery. The blood lactate level may be normal or increased, and normalization of central venous oxygen saturation may reflect either improved oxygen delivery or left-to-right shunting. ref:harrison's principles of internal medicine,ed 18,pg no 2228